A 30-year-old woman suffers a tonic-clonic seizure and presents with delirium and hydrophobia. The patient states that she was bitten on the hand by a bat about 1 month ago. The patient subsequently dies of respiratory failure. Viral particles are found throughout the brainstem and cerebellum at autopsy. In addition to direct viral cytotoxicity, the necrosis of virally infected neurons in this patient was mediated primarily by which of the following mechanisms?
1. Histamine release from mast cells
2. Humoral and cellular immunity
3. Neutrophil-mediated phagocytosis
4. Release of oxygen radicals from macrophages

Correct answer: 2. Humoral and cellular immunity

Explanation: Humoral and cellular immunity Both the humoral and cellular arms of the immune system protect against the harmful effects of viral infections. Thus body wiil respond by both killer cells and the production of antiviral antibodies. It will act by either apoptosis or directing complement-mediated cytolysis. In this case:- The rabies virus entered a peripheral nerve and was transported by retrograde axoplasmic flow by DYNEIN protein (microtubule protein) to the spinal cord and brain. The inflammation is centered in the brainstem and spills into the cerebellum and hypothalamus. The other choices are seen in acute inflammation, but they do not represent antigen-specific responses to viral infections.Diagnosis: Rabies